NOT a content of spermatic cord
1. Ductus deferens
2. Testicular artery
3. Ilio-inguinal nerve
4. Genital branch of genitofemoral nerve

Correct answer: 3. Ilio-inguinal nerve

Explanation: Ilio-inguinal nerve is not a content of spermatic cord. Spermatic cord contains: Testicular artery Ductus deferens Genital branch of Genito femoral nerve. Pampiniferous plexus of veins. Remains of processus vaginalis Artery to ductus deferens